'ABVD' regimen is used in?
1. Chronic lymphocytic leukemia
2. Acute lymphoblastic leukemia
3. N.H.L
4. Hodgkin's disease

Correct answer: 4. Hodgkin's disease

Explanation: Adriamycin, Bleomycin, Vinblastine, and Dacarbazine (ABVD) is used for treatment of Hodgkin lymphoma Hematological malignancy Chemotherapy used Acute lymphoblastic leukemia V.A.L.P plus intra-thecal methotrexate Acute myeloid leukemia Cytarabine and Dacarbazine Acute promyelocytic leukemia Al trans retinoic Acid Chronic myeloid leukemia Imatinib mesylate Chronic lymphocytic leukemia Fludarabine Hodgkin disease ABVD/MOPP regimen Non-Hodgkin lymphoma R-CHOP Multiple Myeloma Lenalidomide , Bortezomib , Prednisone